Risk factors for retinal Detachment are all except
1. Diabetic retinopathy
2. Myopia
3. Hypermetropia
4. CRVO

Correct answer: 3. Hypermetropia

Explanation: C i.e. Hypermetropia